A powerful cycloplegia is:
1. Atropine
2. Tropicomide
3. Phenylephrine
4. Homatropine

Correct answer: 1. Atropine

Explanation: (Atorpine) (147-Parson 20th)* Atorpine - is the most potent and has longest duration of action (for 7 days or more)* Homatropine - are less potent. It affects lasts for 4-5 days* Tropicamide - short acting, though effective for upto 3 hours.* Phenylephrine - a selective alpha - 1 - agonist, sympathomimetics.